True about PCOS :
1. High FSH/ LH ratio
2. Unilateral large ovarian cyst
3. Hirsutism
4. high SHBG

Correct answer: 3. Hirsutism

Explanation: Criteria for diagnosis of PCOD Amenorrhea Anovulation Infertility Hirsutism Ultrasound finding Ref: Shaw Gynecology 17 e pg 315.